All the following are signs of necrosis Except
1. Lipofuscin
2. Cell Membrane Rupture
3. Karyolysis
4. Karyorrhexis

Correct answer: 1. Lipofuscin

Explanation: Lipofuscin, also known as "wear and tear pigment," appears in the form of brown granules in the cytoplasm of living cells but is not a sign of necrosis. Pyknosis, karyolysis, and karyorrhexis terms that describe nuclear changes in dead or irreversibly injured cells. Cell membrane rupture is also associated with cell death, and is a sign of irreversible cell injury.